The following causes increased intra cranial pressure:
1. Thiopentone
2. Aithesin
3. Ketamine
4. Barbiturate

Correct answer: 3. Ketamine

Explanation: Ketamine increases cerebral blood flow and intracranial pressure. Hence contraindicated in raised ICT. All other given drugs donot cause raised ICT and is hence safe in ICT.